Which is the commonly used route of administration for Omalizumab in asthma?
1. Subcutaneous
2. Inhalational
3. Intradermal
4. Intramuscular

Correct answer: 1. Subcutaneous

Explanation: Omalizumab is indicated for moderate-to-severe persistent asthma in patients with a positive skin test or in vitro reactivity to a perennial aeroallergen and symptoms that are inadequately controlled with inhaled corticosteroids 150-375 mg SC q 2-4 weeks. It is given subcutaneous route.